Indication for surgical compartment release in compartment Syndrome in any compartment is absolute pressure greater than?
1. 15 mm Hg
2. 20 mm Hg
3. 30 mm Hg
4. Varies from compartment to compartment

Correct answer: 3. 30 mm Hg

Explanation: ANSWER: (C) 30 mm HgREF: With text"Setting the threshold for fasciotomy at a perfusion pressure of 30 mmHg can be considered safe, but still may lead to overtreatment if used routinely" REF: Evidence-based Orthopedics - Mohit Bhandari Page 634Different authors consider surgical intervention if: (REF: Tiwari A, Haq A I, Myint F, Hamilton G. Acute compartment syndromes. BrJSurg 2002; 89: 397-412.)Absolute ICP greater than 30 mmHgDifference between diastolic pressure and ICP greater than 30 mmHg3. Difference between mean arterial pressure and ICP greater than 40 mmHg"Intracompartmental pressure may be measured by the wick catheter in patients suspected to have compartment syndrome. By such method a pressure of 30 mm Hg or more sustained for 6-8 hours or more is a likely indication for decompressive fasciotomy" REF: Skeletal injury in the child by John Anthony Ogden Page 317IntracompartmentalpressureComments<15 mm HgNorma! compartment pressure of lower limbs>25 mm HgVenous drainage from dosed myofascial spaces is impaired.>30 mm HgComplete venous collapse>60 mm HgNeuromuscular ischemiaREF: Mastery of vascular and endovascular surgery - Gerald B. Zelenock, Thomas S. Huber, Louis M. Messina Page 507